Prolonged exposure of extremities to cold sea water or cold trenches for many hours produces a condition called
1. Frost bite
2. Immersion foot
3. Hypothermia
4. Scalds

Correct answer: 2. Immersion foot

Explanation: Prolonged exposure of extremities to cold sea water or cold trenches for many hours produce a condition known as trench foot or immersion foot as may be seen in shipwreck survivors or soldiers. Ref: TEXTBOOK OF FORENSIC MEDICINE AND TOXICOLOGY KRISHNAN VIJ FIFTH EDITION PAGE 172